'Twin fortified salt' contains:
1. Iodine + Fluorine
2. Iodine + Calcium
3. Iodine + Iron
4. Iodine + Chlorine

Correct answer: 3. Iodine + Iron

Explanation: National Institute of Nutrition (Hyderabad) developed 'Twin Fortified Salt' also known as 'Double Fortified Salt' (DFS) to prevent iron & iodine deficiencies. DFS - contains Iron and Iodine contains salt, Potassium Iodinate, Ferrous sulphate and sodium hexa metaphosphate. provides 40 mcg Iodine and 1 mg Iron per gram of salt.